Exposure to which of the following mandates passive immunization with standard immune serum globulin?
1. Rabies
2. Hepatitis A
3. Hepatitis B
4. Tetanus

Correct answer: 2. Hepatitis A

Explanation: Passive immunization can be used to provide temporary immunity in a person who is exposed to an infectious disease and has not been previously actively immunized. Standard human immune serum globulin does not contain known antibody content for a specific agent, unlike special immune serum globulins that exist for the treatment of susceptible patients exposed to hepatitis B, varicella (which is indicated for postexposure prophylaxis of susceptible immunocompromised persons, susceptible pregnant women, and exposed newborn infants), rabies, tetanus, and CMV (used in bone marrow and kidney transplant recipients). Intramuscular immune globulin can be used for hepatitis A pre- and postexposure prophylaxis as well as hepatitis C postexposure prophylaxis. Ref - Harrison's internal medicine 20e pg 2347-48 , pubmed.com